20-years-old male with history of RTA presents with breathlessness.  Stratosphere sign on USG with M mode is seen.  What is the probable diagnosis?
1. Hemothorax
2. Pneumothorax
3. Cardiac tamponade
4. Pulmonary embolism

Correct answer: 2. Pneumothorax

Explanation: Radiological signs in trauma (eFAST)